Which of the following antineoplastic and immunosuppressant drugs is a dihydrofolate reductase inhibitor ?
1. Methotrexate
2. Adriamycin
3. Vincristine
4. Cyclophosphamide

Correct answer: 1. Methotrexate